Posterior one-third of the tongue develops from -
1. Lingual swellings
2. Tuberculum impar
3. Hypobranchial eminence
4. Tongue bud

Correct answer: 3. Hypobranchial eminence

Explanation: DEVELOPMENT OF THE TONGUE:-
I. Epithelium

Ant 2/3 - lingual swellings of 1st arch and tuberculum impar
Post 1/3 - large dorsal part of hypobranchial eminence, i.e. 3rd arch
Posterior most part - small dorsal part of the hypobranchial eminence, i.e. 4th arch

II. Muscles
From occipital myotomes except palatoglossus Which is derived from the 6th arch.